False about ca breast is:-
1. Most common route of spread is hematogenous
2. Most common area involved is Upper inner quadrant
3. Most common site of metastasis is Bone
4. Most common cause of death is malignant pleural effusion

Correct answer: 2. Most common area involved is Upper inner quadrant

Explanation: Site of Breast Cancer- Breast cancer is more common in left breast compared to right breast.- MC Site - Upper outer quadrant (due to maximum amount of breast tissue at this quadrant)- LC Site - Lower inner quadrant MC route of spread in CA Breast - Hematogenous- MC site of metastasis - Bones (Lumber vertebra > Femur > thoracic vertebra)- Both Osteolytic & osteoblastic secondaries- MC secondaries - Osteolytic > Osteoblastic- MC primary for both osteolytic & osteogenic secondaries in females - CA breast- MC cause of death - Malignant pleural effusion